All of the following are features of temporal lobe lesions Except:
1. Wernicke's Aphasia
2. Contralateral homonymous superior quadrantanopia
3. Auditory hallucinations
4. Hemineglect

Correct answer: 4. Hemineglect

Explanation: Answer is D (Hemi neglect): Hemineglect or neglect of contralateral side is a feature of Parietal lobe lesion (Non dominant hemisphere) and is not a feature of temporal lobe lesion. Wernicke's Aphasia contralateral superior homonymous quadrantopia and auditory hollucinations are all features of temporal lobe lesions.